Oncocytes are modified form of
1. Nucleolus
2. ER
3. Mitochondria
4. Lysosomes

Correct answer: 3. Mitochondria